True diverticulum is:
1. Zenker's diverticulum
2. Meckel's diverticulum
3. Duodenal diverticulum
4. Bladder diverticulum

Correct answer: 2. Meckel's diverticulum

Explanation: Ans. B: Meckel's diverticulum Diverticula are classified as true and false. True diverticula are composed of all layers of the intestinal wall, whereas false diverticula are formed from the herniation of the mucosal and submucosal layers. Diverticula can be classified as intraluminal or extraluminal. Intraluminal diverticula and Meckel's diverticulum are congenital Extraluminal diverticula may be found in various anatomic locations and are referred to as duodenal, jejunal, ileal, or jejunoileal diverticula. Meckel's diverticulum is a congenital anomaly representing a persistent portion of the vitellointestinal duct. It can become ulcerated or cause intestinal obstruction. It is present in approximately 2% of the population, with males more frequently experiencing symptoms.